The enzyme catalyzing the production of orotidylic acid is?
1. Aspartyl transcarbamoylase
2. Dihydro orotase
3. Dihydro orotate dehydrogenase
4. Orotate phosphoribosyl transferase

Correct answer: 4. Orotate phosphoribosyl transferase

Explanation: In the de novo synthesis of pyrimidines, the enzyme aspartyl transcarbamoylase catalyses the combination of carbamoyl phosphate and aspartate to form carbamoyl aspartate. Dihydro orotase catalyses the production of dihydro orotic acid. Dihydro orotate dehydrogenase catalyses the production of orotic acid from dihydro orotic acid. Orotate phosphoribosyl transferase is the enzyme catalyzing the synthesis of orotidylic acid (Orotidine 5'-monophosphate). Ref: Textbook of Biochemistry, D. M. Vasudevan & Sreekumari S, 4th edition, page 394.